MAST cells play a central role in the development of which type of hypersensitivity reaction?
1. Immediate
2. Antibody mediated
3. Cell mediated
4. Immune complex mediate

Correct answer: 1. Immediate

Explanation: Ans. is 'a' i.e., Immediate